Pin point pupils are seen in all except ?
1. Pontine hemorrhage
2. Organophosphorus poisoning
3. Opium poisoning
4. Barbiturate poisoning

Correct answer: 4. Barbiturate poisoning

Explanation: Ans. is 'd' i.e., Barbiturate poisoning Pin point pupil can be caused by : Opioids (morphine), organophosphates, phenothiazines, clonidine, mushroom poisoning, chloral hydrate, carbolic acid and pontine hemorrhage.